Bruxism is
1. Walking during sleep
2. Nocturnal enuresis
3. Grinding of teeth during sleep
4. Sleep apnoea

Correct answer: 3. Grinding of teeth during sleep

Explanation: Bruxism (teeth-grinding): The patient has an involuntary and forceful grinding of teeth during sleep. Though the bed partner reports loud sounds produced by grinding of teeth and destruction of the tooth enamel is obvious, the patient remains completely unaware of the episode(s). Ref: A Short Textbook of Psychiatry, Niraj Ahuja, 7th Edition, pg. no. 140